Which drug would treat both dermatophytosis and candidal infections ?
1. Ketoconazole
2. Griseofulvin
3. Nystatin
4. Tolnaftate

Correct answer: 1. Ketoconazole